A 40-year-old female graduate student had an excruciating headache. When she looked in the mirror, she noticed that her eyelid was drooping; when she lifted the eyelid, she saw that her eyeball was looking down and out and her pupil was huge. She complained of both blurred and double vision. An magnetic resonance angiogram scan showed an aneurysm of the cerebral arterial circle. Which artery gives rise to the offending aneurysm?
1. Anterior choroidal
2. Anterior communicating
3. Charcot-Bouchard's
4. Posterior communicating

Correct answer: 4. Posterior communicating

Explanation: Posterior communicating arterycan give rise to aberry aneurysm, whichcompresses the 3rd cranial nerveand results in incomplete third nerve palsy. Acommunicating arterymay harbor berry aneurysm that impinge on theoptic chiasmacausing a bitemporal lower quadrantanopia. Charcot-Bouchard microaneurysmsare found in the territory of the lateral striate arteries and are the commonest cause of non-traumaticintra-parenchymal hemorrhage.